Marker for Hairy cell Leukemia is:
1. CD 30
2. CD 103
3. CD1
4. CD4

Correct answer: 2. CD 103

Explanation: CD 103